Post herpetic neuralgia most commonly involves:
1. Maxillary division of trigeminal nerve.
2. Mandibular division of trigeminal nerve.
3. Ophthalmic division of trigeminal nerve.
4. None.

Correct answer: 3. Ophthalmic division of trigeminal nerve.